All are true about Zollinger-Ellison syndrome except:
1. Recurrent ulceration after acid reducing surgery
2. Raised gastrin levels in all cases
3. Decreased BAO/MAO
4. Diarrhea

Correct answer: 3. Decreased BAO/MAO

Explanation: Ans. (c) Decreased BAO/MAOBlood levels of ZES:* 100% all patients will have Se. gastrin >100pg/ml* BAO >15meq/hr in most patients* BAO will be 60% of MAO (BAO - Basal Acid output, MAO - Maximal Acid Output)* Levels of Se. Gastrin >1000pg/ml is diagnostic* If there is only borderline elevation provocative tests with secretin, Calcium etc are done* With Secretin stimulation gastrin increases >200pg/ml in 15 minutes is diagnostic